The commonest type of abrasion seen in road traffic accidents is:
1. Scratch abrasions
2. Graze abrasions
3. Contact abrasions
4. Imprint abrasions

Correct answer: 2. Graze abrasions

Explanation: Ans. Graze abrasions